Anaesthetic of choice for day care surgery is
1. Thiopentone
2. Nitrous oxide
3. Propofol
4. Halothane

Correct answer: 3. Propofol

Explanation: “Propofol is parcularly suitable for day care surgery’ because residual impairment is less marked and shorter lasng Propofol
 Propofol is a milky white powder that is preservave free; therefore, it must be used within 6 hours. It is an oil based preparaon, therefore injecon is painful.
 Propofol is the most frequently used intravenous anaesthec today. — Miller 6 th /e-3l8  It can be used for both inducon as well as maintenace.
 It does not possess anconvulsive acon (unlike thiopentone),
 It causes fall in BP and bradycardia, o Like thiopental it does not possess muscle relaxant acon.
 Propofol possess significant anemec and anpruric acon. — Miller 6 th /e - 324
 Propofol decreases polymorphonuclear leukocyte chemotoxis but not aherence, phagocytosis and killing (Thiopentone blocks all these) increased life threatning infecons.
 Propofol is parcularly suitable for outpaent surgery. Intermient injecon or connuous infusion of propofol is frequently used for total iv. anaesthesia (TIVA) when supplemented by fentanyl.
 It is anaesthecs of choice for intubaon in ICU and for paents with malignant hyperthermia.  Side effects - pain on injecon, myoclonus, apnea, X BP and rarely thrombophlebis,
 Propofol infusion syndrome A lethal syndrome, associated with infusion of propofol for 48 hours or longer.
Occurs in children and crically ill It occurs as a result of failure of free fay acid metabolism and failure of the mitochondrial respiratory chain. Features are -
cardiomyopathy with acute cardiac failure, metabolic acidosis, skeletal myopathy, hyperkalemia, hepatomegaly and lipemia